Iron deficiency anemia is associated with which worm
1. Round worm
2. Hook worm
3. Tape worm
4. Dog tape worm

Correct answer: 2. Hook worm